Drug capable of causing ocular hypotension with apnoea in infants is:-
1. Acetazolamide
2. Latanoprost
3. Brimonidine
4. Apraclonidine

Correct answer: 3. Brimonidine

Explanation: Brimonidine is contraindicated in infant <2 yo because it cause brain suppression leading to apnea. Apraclonidine and Brimonidine both are topical alpha adrenergic agonist which decrease aqueous humor production and increase aqeous outflow. Apraclonidine cause lid retraction. Latanoprost :- PGF2alpha P- Pigmentation of Iris G-Growth of eyelash (Hypertrichosis) F2x-fluid in macula (Macular edema)